grey hack shunt is in priapism is betwee?
1. dorsal vein and corpora cavernosum
2. corpora spongiosum and corpora cavernosum
3. proximal penis between corpus cavernosum and saphaneous vein
4. corpora cavernosum and spongiosum

Correct answer: 3. proximal penis between corpus cavernosum and saphaneous vein

Explanation: Surgical treatment * For priapism beyond 48-72 hrs * Surgical shunt - to drain blood from cavernosa bypassing veno-occlusive mechanism * Shunts - i.Distal cavernoglanular shunts- a) Winter shunt : large biopsy needle through glans to cavernosa b)Ebbehoj shunt : scalpel though glans to cavernosa c) El -Ghorab shunt :excision of tunica albugenia at tip of cavernosum c) grey hack shunt : proximal penis between corpus cavernosum and saphaneous vein ref : bailey and love 27th ed